Optical coherence tomography is most useful in disorders of:
1. Macula
2. Crystalline lens
3. Refractive errors
4. Intraocular tumours

Correct answer: 1. Macula

Explanation: Ans. Macula